All are true about data diagrams except:-
1. Frequency distributions are usually illustrated by histograms
2. Frequencies are commonly illustrated by bar chart
3. Bimodal frequency distribution has two tails and one peak
4. Frequency polygon is useful when comparing two or more frequency distributions by drawing them on the same diagram

Correct answer: 3. Bimodal frequency distribution has two tails and one peak

Explanation: - Bimodal frequency distribution: * Bimodal frequency distribution has two tails and two peaks. - Frequency distributions are usually illustrated by histograms. - Frequencies are commonly illustrated by bar chart . - Frequency polygon is useful when comparing two or more frequency distributions by drawing them on the same diagram.